Why is tetany seen with hyperventilation
1. Metabolic alkalosis
2. Metabolic acidosis
3. Respiratory alkalosis
4. Respiratory acidosis

Correct answer: 3. Respiratory alkalosis

Explanation: In hyperventilation patient develops hypocalcemia ,so he develops tetany. Tetany hyperventilation Low levels of carbon dioxide cause tetany by altering the albumin binding of calcium such that the ionized (physiologically influencing) fraction of calcium is reduced; one common reason for low carbon dioxide levels is hyperventilation. Low levels of magnesium can lead to tetany Ref Davidson 23rdedition pg 620